Pseudo-isomorphic phenomenon is seen in:
1. Vitiligo
2. Psoriasis
3. DLE
4. Plane Warts

Correct answer: 4. Plane Warts

Explanation: Isomorphic also known as Koebner phenomenon True Koebner seen in vitiligo, psoriasis and lichen planus Pseudo Koebner seen in warts, molluscum contagiosum